Composition of Nova-T :
1. Copper and silver
2. Copper only
3. Copper and selenium
4. Copper and molybdenum

Correct answer: 1. Copper and silver

Explanation: NOVA-T can be distinguished by a silver core over which the copper wire is wrapped. It has silver added to copper wire increasing it's life span to 5 yrs. PARK'S TEXTBOOK OF PREVENTIVE AND SOCIAL MEDICINE 23rd EDITION PAGE NO 496 Shaw's textbook of Gynecology - 17 th edition, page no. 258.